Calcium hydroxide is preferred to ZOE fillings below a
composite resin restoration as:
1. Calcium hydroxide forms a calcific bridge
2. Eugenol irritates the inflamed pulp
3. Eugenol interferes with the setting of composite resins
4. None of the above

Correct answer: 3. Eugenol interferes with the setting of composite resins